Drug of choice in Laryngeal stenosis is:
1. Cyclophosphamide
2. Doxorubicin
3. Adriamycin
4. Mitomycin C

Correct answer: 4. Mitomycin C

Explanation: Topical Mitomycin C is the drug of choice for treatment of Laryngeal Stenosis. It greatly increases the success rate after endoscopic treatment of subglottic and tracheal stenosis.